Centre of biconvex lens is called -
1. Focal point
2. Optical center
3. Epicentre
4. Focal Distance

Correct answer: 2. Optical center

Explanation: optical center is the point in the principal axis of a lens through which light passes without undergoing any deviation. It is in the center of lens. Reference : AK khurana 7th edition